In dengue surveillance, indices that are commonly used to monitor Aedes aegypti infection levels are all, EXCEPT:
1. House index
2. Breteau index
3. Street index
4. Pupae index

Correct answer: 3. Street index

Explanation: House index (Hl): percentage of houses infected with larvae and/or pupae HI = Number of Houses infected/ Number of Houses inspected X100 Container Index (Cl): percentage of water holding containers infected with larvae or pupae. Cl = Number of positive containers/ Number of containers inspected X100 Breteau Index (Bl): number of positive containers per 100 houses inspected Bl = Number of positive containers/ Number of houses inspected X100 Pupae Index (Pl): number of pupae per 100 houses Pl = Number of pupae/ Number of houses inspected X100 Ref: Park's textbook of Preventive and Social Medicine, 21st edition, page-224